Drug used in irritable bowel syndrome with constipation
1. Lubiprostone
2. Fedotozine
3. Loperamide
4. Mebeverine

Correct answer: 1. Lubiprostone

Explanation: Lubiprostone (CL- channel activator).